CD 56 is a marker for which cells
1. B Lymphocytes
2. T Lymphocytes
3. Eosinophils
4. NK cells

Correct answer: 4. NK cells

Explanation: NK-cells :- # Key component of the innate immune system . # Lack T-cell receptors or immunoglobulins. # Cell surface markers include CD2, CD56, and CD16 . # Identify infected (viral) or tumor cells that have decreased MHC I surface expression and destroy these cells perforin/granzymes. # Secrete IFN-g that can enhance the phagocytic capability of macrophages and have cytoplasmic granules that have a similar mechanism to cytotoxic T-lymphocytes. # NK-cells are activated by IL-12, IL-15, and type I interferons. # Work synergistically with macrophages. Ref:- Review of Dermatology by Alikhan; pg num:-23